True statement regarding Barrett's esophagus:
1. Patient present with severe symptoms
2. Normal pH profile
3. Increased risk of squamous cell carcinoma
4. Metaplastic change in the lining mucosa of the esophagus

Correct answer: 4. Metaplastic change in the lining mucosa of the esophagus

Explanation: Ans. D: Metaplastic change in the lining mucosa of the esophagusBarrett's esophagus is a metaplastic change in the lining mucosa of the esophagus in response to chronic gastro-esophageal refluxEsophageal cancer:Important predisposing factors:- Excess alcohol- Smoking- Chronic achalasia- Tylosis- Barrett's esophagus- Plummer Vinson syndromeFeatures:- Progressive dysphagia (MC)- Weight loss- WeaknessEsophagoscopy is diagnosticChemotherapy:- Limited role- Cisplatin- Bleomycin- 5-FluorouracilMC type: Squamous cell CaMC site: Lower endMC site of adenoCa: Lower end.MC site of squamous cell Ca: Middle third